Right hepatic duct drains all except
1. Segment I
2. Segment III
3. Segment V
4. Segment VI

Correct answer: 2. Segment III